Schiller- Duval bodies is seen in ?
1. Choriocarcinoma
2. Embryonal cell Ca
3. Endodermal sinus tumour
4. Immature teratoma

Correct answer: 3. Endodermal sinus tumour

Explanation: Ans. is 'c' i.e., Endodermal sinus tumor